Thyroid us supplied by:
1. Superior thyroid vein.
2. Middle thyroid vein.
3. Inferior thyroid vein.
4. All of the above.

Correct answer: 4. All of the above.